A mononuclear portal inflammatory infiltrate that disrupts the limiting plate and surrounds individual hepatocytes (piecemeal necrosis) is characteristic of
1. Ascending cholangitis
2. Acute alcoholic hepatitis
3. Chronic active hepatitis
4. Cholestatic jaundice

Correct answer: 3. Chronic active hepatitis

Explanation: ) Chronic hepatitis has been defined as an inflammatory process of the liver that lasts longer than 1 year and lacks the nodular regeneration and architectural distortion of cirrhosis. In chronic active hepatitis, an intense inflammatory reaction with numerous plasma cells spreads from portal tracts into periportal areas. The reaction destroys the limiting plate and results in formation of periportal hepatocytic islets. Prognosis is poor, and the majority of patients develop cirrhosis. Chronic persistent hepatitis is usually a sequela of acute viral hepatitis and has a benign course without progression to chronic active hepatitis or cirrhosis. The portal inflammation does not extend into the periportal areas, and this differentiates chronic persistent hepatitis from chronic active hepatitis. Reference: Robbins & Cotran Pathologic Basis of Disease, 9edition